Role of Vitamin K for activation in dotting cycle-
1. Carboxylation
2. Hydroxylation
3. Transamination
4. Deamination

Correct answer: 1. Carboxylation

Explanation: Ans. is 'a' i.e., Carboxylation VitaminActive form (coenzymes)Reaction typeB1 (Thiamin)Thiamine pyrophosphate (TPP)Oxidative decarboxylation, TransketolationB2 (Riboflavin)FMN, FADOxidation / Reduction (Redox reaction)B3 (Niacin)NAD', NADI+Oxidation! Reduction (Redox reaction)B6(Pyridoxin)Pyridoxal phosphate (PLP)Transamination, deamination, decarboxylation, condensation, trans-sulfurationB12 (cobolamin)Methylcobafamin, deoxyadenosylcobalaminIsomerization of methyimelonyl-CoA to succinvI-CoA. synthesis of methionine from homocysteineFolic acidTetrahydrofolate (THF)One carbon group transferBiotinBiocytinCarboxylationPantothenic acidPentothenate in CoA and ACPAcyl group transferVitamin KVitamin KCarboxylation of glutamic acid residue